Recurrent oral ulcers with pain and erythematous halo around them, diagnosis is –
1. Apthous ulcer
2. Herpes
3. Chicken pox
4. Measels

Correct answer: 1. Apthous ulcer

Explanation: Recurrent oral ulcers with erythematous halos suggest the diagnosis of Aphthous ulcer.